All trans retinoic acid is used topically for -
1. Acne vulgaris
2. Lupus vulgaris
3. Alopecia areata
4. Androgenic alopecia

Correct answer: 1. Acne vulgaris

Explanation: Ans. is 'a' i.e., Acne vulgaris * All-trans retinoic acid (Tretinoin) is used topically, while 13-cis retinoic acid (Isotretinoin) is given orally for acne.